Coat\'s disease –
1. Has equal sex incidence
2. Caused by peripheral neovascularization
3. Is inherited in an autosomal dominant pattern
4. Can be treated with laser

Correct answer: 4. Can be treated with laser

Explanation: "Early recognition followed by prophylactic laser/ ctyotherapy may be beneficial". —Parson's

Coat's disease is more common in male.
Etiology is unknown.
Coat's disease is not inherited.